Secondary Haemorrhage after tonsillectomy usually presents at:
1. 12 hours
2. 24 hours
3. 6 days
4. 12 days

Correct answer: 3. 6 days

Explanation: Secondary haemorrhage usually seen between the 5th to 10th postoperative day. It is the result of sepsis & premature separation of the membrane. Usually, it is heralded by bloodstained sputum but may be profuse. Simple measures like removal of clot, topical application of dilute adrenaline or hydrogen peroxide with pressure usually suffice. For profuse bleeding, general anaesthesia is given & bleeding vessel is electrocoagulated or ligated. Sometimes, approximation of pillars with mattress sutures may be requered. Sometimes, external carotid ligation may also be required. Systemic antibiotics are given for control of infection.